Most common cause of Traveller's diarrhoea
1. >Enterotoxigenic E. coli
2. >Enterohemorrhagia E. coli
3. >Enteropathogenic E. coli
4. >Enteroinvasive E. coli

Correct answer: 1. >Enterotoxigenic E. coli

Explanation: Enterotoxigenic E. coil Most common cause of traveller's diarrhoae -f Enterotoxigenic E. coli Harrison states "The most- frequently identified pathogen causing traveller's diarrhoea is toxigeic Escherichia coll." Most common cause of traveller's diarhoea Toxigenic E.coli Most common cause of traveller's diarrhea in Campylobacter South East Asia and Africa Most common viruses associated with traveller's --> Rotavirus and Norovirus diarrhea